Congenital wilson's disease is characterized by
1. KF ring is present at birth
2. May present as acute hepatitis
3. Decreased Urinary copper excretion
4. Decreased hepatic copper concentration

Correct answer: 2. May present as acute hepatitis

Explanation: Wilson disease is an inborn error of metabolism due to toxic accumulation of copper in liver,brain,cornea and other tissues.Manifestations are more likely to be hepatic in early childhood & neurological in adolescents or adults.The spectrum of hepatic manifestations include all forms of acute or chronic liver disease,i.e.,'viral hepatitis' like illness,acute liver failure,chronic hepatitis,portal hypertension,cirrhosis or asymptomatic hepatomegaly.KF (Kayser-Fleischer)/rings are most common in children with neurological(96%) than hepatic(60%) Wilson disease. Wilson disease is characterised by decreased serum ceruloplasmin & increased urinary copper excretion with increased hepatic copper stores. Reference:Essential pediatrics-Ghai,8th edition,page no:320,321